False about tibia-fibula is ?
1. Nutrient artery of tibia is from posterior tibial artery
2. Nutrient artery of fibula is from peroneal artery
3. Proximal end of tibia is related to common peroneal nerve
4. Tibia is the most common site of osteomyelitis

Correct answer: 3. Proximal end of tibia is related to common peroneal nerve

Explanation: Common peroneal nerve is related to neck of fibula (not tibia). Nutrient artery of tibia is a branch of posterior tibial artery. Nutrient artery of fibula is a branch of peroneal artery. Tibia is the commonest site of osteomyelitis.